Forcheimer sign is seen in
1. Infectious monocucleosis
2. Scarlet fever
3. Rubella
4. Rubeola

Correct answer: 3. Rubella